Iodine comes in iodine salt. Requirement at production and consumer level respectively -
1. 20 & 10 PPM
2. 30 & 10 PPM
3. 30 & 15 PPM
4. 30 & 20 PPM

Correct answer: 3. 30 & 15 PPM

Explanation: Iodized salt:- Most widely used prophylactic measure against endemic goitre. In India the level of iodization is fixed under the Prevention of Food Adulteration Act(PFA) and is not less than 30 ppm at the production point, and not less than 15 ppm of iodine at the consumer level. Iodized salt is most economical , convenient and effective means of mass prophylaxis in endemic areas. Under the national IDD control activities , government of India proposed to completely replace common salt with iodized salt in a phased manner. {Reference: Park's textbook of community medicine 23 rd edition, pg no. 644}